Most important epidemiological tool used for assessing disability in children is –
1. Activities of Daily Living (ADL) scale.
2. Wing's Handicaps, Behaviour and Skills (HBS) Schedule
3. Binet and Simon IQ tests
4. Physical Quality of Life Index (PQL 1)

Correct answer: 2. Wing's Handicaps, Behaviour and Skills (HBS) Schedule

Explanation: There have been many attempts to measure or record in standardized form the aspects of behaviors, psychological function and social performance
One of the most important is Wing's Comprehensive Handicaps, II Behavior and Skills (HBS) schedule


It has been used in epidemiological studies to assess the total child population in terms of detailed scales of specific abilities and disabilities.
It is essentially a research tool, but Wing has developed from it a small practical schedules for use in service contexts using what has emerged as the most important aspect of mobility, communication and social interaction.
The resulting short disability assessment schedule is being used in several communities as a source of high quality routine data for total population.